The operation to making a external opening to discharge the colonic contents are known as:
1. Colostomy
2. Ileostomy
3. Colpocystocele
4. Colorrhaphy

Correct answer: 1. Colostomy

Explanation: (Colostomy): Ref: Dorlant dictionaryColostomy - the surgical creation of an opening between the colon and the body surface, also the opening (stroma) so created dry colostomy that performed in the left colon, the discharge from the stoma consisting of soft or formed fecal matter, ileo transverse colostomy - surgical anastomosis between the ileum and the transverse colon, wet colostomy the right colon, the drainage from which a liquid or the left colon following anastomosis of the ureters to the sigmoid or descending colon so that urine is also expelled through the same stomaColpocystocele - hernia of the bladder into the vaginaColorrhaphy - suture of the colon